Bilateral pulseless disease in upper limbs is caused by -
1. Aortoarteritis
2. Coarctation of aorta
3. Fibromuscular dysplasia
4. Buerger's disease

Correct answer: 1. Aortoarteritis

Explanation: Answer is 'a' i.e. Aortoarteritis "The diagnosis of Takayasu's arteritis should be suspected strongly in a young women who develops a decrease or absence of peripheral pulses, discrepancies in blood pressure and arterial bruits" - Harrison Aortoarteritis or Takavasu's ds. is an inflammatory & stenotic disease of the medium and large-sized arteries with a strong predilection for the aortic arch and its branches (therefore also k/a aortic arch syndrome). Narrowing of the lumen of the involved vessels occur with or without thrombosis, leading to symptoms of vascular compromise. Subclavian artery is the most commonly involved vessel, leading to loss or weakening of pulses (thus also k/a pulseless ds.) It is mostly seen in adolescent girls and young women. It is more common in Asia.